"Spider leg" deformity in excretory urogram occurs in-
1. Hydronephrosis
2. Polycystic kidney
3. Uretrocele
4. Renal agenesis

Correct answer: 2. Polycystic kidney